In the inflammatory process the prostaglandins E1and E2 causes
1. Vasodilation
2. Increased gastric output
3. Decreased body temperature
4. Vaso constriction

Correct answer: 1. Vasodilation

Explanation: ref Robbins 9/e p85